Dysphagia, diplopia, dysarthria are characteristic symptoms of food poisoning due to:
1. Staphylococcus aureus
2. Clostridium botulinum
3. Salmonella typhimurium
4. Bacillus cereus

Correct answer: 2. Clostridium botulinum

Explanation: Ans. Clostridium botulinum